Phthsisbulbi means ?
1. Developmental hypoplasia of optic cup
2. Final end stage of chronic scleritis
3. Final end stage of chronic uveitis
4. All of the above

Correct answer: 3. Final end stage of chronic uveitis

Explanation: Ans. is 'c' i.e., Final end stage of chronic uveitis Phthisis bulbi It is the final stage end result of any form of chronic uveitis. In this condition ciliary body is disorganised and so aqueous production is hampered. As a result of it the eye becomes soft, shrinks and eventually becomes a small atrophic globe (phthisis bulbi). Intraocular tension is reduced due to decreased aqueous formation. Histopathologically, the globe is small and shrunken with marked thickening of the sclera, as well as disorganization and atrophy of much of the intraocular contents. Commonly the retinal pigmented epithelium may undergo a metaplasia leading to intraocular ossification (calcification) in the end- stage of phthisis bulbi.